Rheumatoid factors are immunoglobulins directed against:
1. The Fc portion of immunoglobulin G (IgG)
2. The Fc portion of immunoglobulin A (IgA)
3. The Fc portion of immunoglobulin M (IgM)
4. The Fc portion of immunoglobulin D (IgD)

Correct answer: 1. The Fc portion of immunoglobulin G (IgG)

Explanation: The Fc portion of immunoglobulin G (IgG)